The drug used in heparin overdose is:
1. Protamine sulfate
2. Phylloquinone
3. Ticlopidine
4. Clopidogrel

Correct answer: 1. Protamine sulfate

Explanation: Protamine sulfate is an antidote of heparin overdose whereas vitamin K is used as an antidote for warfarin toxicity.